After an inlay preparation which of the following would be most appropriate to expose margins for an elastic impression?
1. Surgical intervention
2. Packing with cord impregnated with alum or epinephrine
3. Packing with cord impregnated with Zinc chloride
4. Packing with Zinc oxide eugenol

Correct answer: 2. Packing with cord impregnated with alum or epinephrine